Fallots tetralogy manifestation
1. Left axis deviation
2. Left ventrucular hypertrophy
3. VSD
4. All

Correct answer: 3. VSD

Explanation: Answer is C (VSD ) Tetralogy of Fallot is associated wit Right axis deviation Tetralogy of Fallot is associated with right ventricular Hypertrophy Morphine is indicated in the management of-Anoxic Spells